Rope seen as snake is an example of -
1. Illusion
2. Hallucination
3. Delusion
4. Pseudohallucination

Correct answer: 1. Illusion

Explanation: Ans. is 'a' i.e., Illusion o Illusions are altered perception in which a real external object is combined with imagery to produce false internal percept. In simple w ords, illusion is misinterpretation of an actual sensory input For example: -Hearing once name in a train whistle : - Train whistle is a real external stimulus. wrhich is perceived as once name (false internal percept).Mistaking a stick or rope for snake in dark room: - Stick is a real external object, which is perceived falsely as snake.o In illusion : -Sensory input is in external atmosphere.Percept is in internal atmosphere (inner subjective space, Le., inside the mind) o Illusions are most commonly seen in delirium.